The commonest cranial nerve involved in acoustic neuroma is:
1. IX
2. VI
3. VIII
4. X

Correct answer: 3. VIII

Explanation: As the eighth nerve schwannoma grows, it extends into the posterior fossa to occupy the angle between the cerebellum and pons (cerebellopontine angle). In this lateral position, it is so situated as to compress the seventh, fifth, and less often the ninth and tenth cranial nerves, which are implicated in various combinations. Later it displaces and compresses the pons and lateral medulla and obstructs the CSF circulation.